A 32-year-old patient received a badly placed intramuscular injection to the posterior part of his gluteal region. The needle injured a motor nerve in the area. Later, he had great difficulty rising to a standing position from a seated position. Which muscle was most likely affected by the injury?
1. Gluteus maximus
2. Gluteus minimus
3. Hamstrings
4. Iliopsoas

Correct answer: 1. Gluteus maximus

Explanation: The gluteus maximus is innervated by the inferior gluteal nerve, and this muscle is responsible for extension and lateral rotation of the thigh. It is the primary muscle used to rise from a seated position. The gluteus minimus is innervated by the superior gluteal nerve and is responsible for abduction of the thigh. Hamstring muscles are innervated by the tibial portion of the sciatic nerve, and these are responsible for extension of the thigh and flexion of the leg. The iliopsoas muscle is innervated by L1 and L2 and the femoral nerve, and it flexes the thigh. The obturator internus is innervated by the nerve to the obturator internus and is a lateral rotator of the thigh.